All of the following amino acids are one-carbon donors, EXCEPT
1. Glycine
2. Serine
3. Histidine
4. Threonine

Correct answer: 4. Threonine

Explanation: Sources of one-carbon groups: Serine to glycine (Serine hydroxymethyl transferase reaction) is the primary contributor for methylene THFA. Glycine cleavage system produces methylene groups is the glycine cleavage system Histidine contributes to N5-formimino THFA through FIGLU Tryptophan donates formyl-THFA Choline and betaine are donors of hydroxy methyl groups